"Hair on End" appearance is seen in:
1. Thalassemia
2. Scurvy
3. Rickets
4. Hemochromatosis

Correct answer: 1. Thalassemia

Explanation: Thalassemia